Lancefield classifiction of Streptococcus is based on
1. M protein
2. Carbohydrate C antigen of cell wall
3. Hemolysis
4. Bile solubility

Correct answer: 2. Carbohydrate C antigen of cell wall

Explanation: Based on oxygen requirement - aerobic/ ananerobic Brown's classification -Based on haemolysis on blood agar (alpha, beta, gamma) Streptococci maybe classified based on carbohydrate C antigen of cell wall into Lancefield groups (A-W ecxcluding I, J) M protein types classified into Griffith types